Antibioma is best treated by -
1. Partial resection
2. Complete resection
3. Aspiration
4. Administration of antibiotics

Correct answer: 2. Complete resection

Explanation: Ans. is 'b' i.e., Complete resection